Secondary Oocyte is :
1. n and N
2. n and 2N
3. 2n and N
4. 2n and 2N

Correct answer: 2. n and 2N

Explanation: Primary Oocyte – 2n.
Secondary Oocyte – n and 2N.
Spermatid – n and N.